Causative organism of "glanders" is:
1. Leptospira
2. Burkholderia mallei
3. Pseudomonas pseudomallei
4. Chlamydia

Correct answer: 2. Burkholderia mallei

Explanation: Burkholderia mallei